In which of the following conditions, Aniridia and Hemihypertrophy are most likely present -
1. Neuroblastoma
2. Wilm's tumour
3. Non-Hodgkin's lymphoma
4. Germ cell tumour

Correct answer: 2. Wilm's tumour

Explanation: Wilm's tumour is associated with three groups of congenital malformations.
The risk of Wilm's tumour is increased in these conditions.
These are -

1. WAGR syndrome - It consists of

Aniridia    
Mental retardation
Genital anomalies

The risk of Wilm's tumour is increased by 33% in this syndrome.

2. Denys-Drash syndrome - It consists of

Gonadal dysgenesis (male pseudohermaphroditism)
Nephropathy leading to renal failure.

Majority of patients with this syndrome have a ranal failure.

3. Beckwith - Wiedemann syndrome - It consists of

Enlargement of body organs           
Hemihypertrophy                                        
Renal medullary cysts.
Abnormal large cells in the adrenal cortex.